The cement, which is least soluble in oral cavity:
1. Glass ionomer
2. Resin cement
3. Polycarboxylate cement
4. Silico — phosphate cement

Correct answer: 2. Resin cement